The main cause of increased blood flow to exercising muscles is
1. Raised blood pressure
2. Vasodilatation due to local metabolites
3. Increased sympathetic discharge to peripheral vessels
4. Increased heart rate

Correct answer: 2. Vasodilatation due to local metabolites

Explanation: During prolonged exercise blood flow to skeletal muscle will increase up to 20 times this is called exercise hyperemiaThis is made possible by local metabolite induced vasodilationRef: Medical Physiology Indu Khurana 2015 edition, Page No:276